All of the following may lead to corneal opacity in newborn except –
1. Endothelial dystrophy
2. Sclerocornea
3. Mucopolysaccharidosis
4. Droplet keratopathy

Correct answer: 4. Droplet keratopathy

Explanation: Causes of congenital opacities of cornea (STUMPED classification) :-
Sclerocornea; Tear in descmet's membrane (Congenital glaucoma, birth trauma); ulcer (HSV, bacteria); metabolic (Mucopolysaccharidosis, mucolipidosis, Tyrosinosis); Posterior corneal defect (Peter's anomaly, posterior keratoconus, staphyloma); Endothelial dystrophy (congenital hereditary, posterior polymorphous, stromal).